Oligoarthritis with ascending joint involvement is seen in?
1. Juvenile osteoarthritis
2. Seronegative arthritis
3. SLE
4. Septis arthritis

Correct answer: 2. Seronegative arthritis

Explanation: Ans. is 'b' i.e., Seronegative arthritis "The Arthropathy of Reiter's syndrome is typically an acute, assymetrical, additive and ascending inflammatory oligoarthritis "_________ Clinical primer of Rheumatology Reiter syndrome is a seronegative spondyloarthropathy. Common causes of oligoarthritis ? Gout Juvenile idiopathic rheumatoid arthritis Psoriasis Seronegative spondyloarthropathies (SpA) Seronegative spondyloarthropathies (SpA) Ankylosing spondylitis Reactive arthritis (including Reiter's syndrome) Psoriatric spondyloarthopathy Inflammatory bowel disease (Enteropathic spondyloarthopathy) o Juvenile spondyloarthropathy Unclassifiable or undifferentiated spondyloarthropathy